All are true about Aedes except
1. Bites repeatedly
2. Eggs cannot survive for more than a week without water.
3. Transmits dengue
4. It takes 7-8 days to develop the parasite and transmit the disease.

Correct answer: 2. Eggs cannot survive for more than a week without water.

Explanation: Eggs cannot surfvive for more than a week without water Eggs of Aedes can survive for very long periods in a dry state, often for more than a year Aedes mosquito : Also Ida 'Tiger' mosquito b/o presence of white stripes on black body. Aedes aegypti is the vector of dengue & yellow fever. It breeds in artificial stagnant accumulations of water in and around human dwellings (discarded storage jars, broken bottles, buckets etc.) Only females suck blood meals (Males feed on nectar and plant juices). The females need blood to mature her eggs The female mosquitoes are fearless, day time biters. They bite repeatedly to have 1-3 blood meals. Eggs are laid singly. The Cigar shaped eggs are laid on damp surfaces in areas likely to temporarily flood, such as tree holes and manmade containers. In warm climates eggs may develo in as little as two days, whereas in cooler temperate climates, development can take upto a week. . Laid eggs can survive for very long periods in a dry or desiccated state, often snore than a year. However they hatch immediately once submerged in water. This makes the control of Aedes aegypti difficult. Aedes mosquito transmit following diseases - Yellow fever (not in India) - Dengue - Dengue hemorrhagic fever - Chikungunya fever - Chikungunya hemorrhagic fever - Rift valley fever - Filaria (not in India where it is transmitted by culex & other mosquitoes) The transmission cycle of dengue is Man-mosquito-man The transmission of disease agent (dengue virus & Flavivirus fibricus of yellow fever) between humans occurs from repeated biting by the mosquito when the mosquito injects saliva that acts as an anticoagulant The extrinsic incubation period during which the virus multiplies in the mosquito & the mosquito becomes infective is - 8-10 days in dengue fever & - 8-12 days in yellow fever (In the opiton (d) the extrinsic incubation period is 7-8 days i.e. near about above).